Most important amino-acid substrate for gluconeogenesis -
1. Leucine
2. Lysine
3. Histidine
4. Alanine

Correct answer: 4. Alanine

Explanation: Ans. is 'd' i.e., Alanine o The major noncarbohydrate precursors (substrate) for gluconeogenesis are lactate, pyruvate, glycerol, glucogenic amino acids, propionate and intermediates of the citric acid cycle. All aminoacids, exceptfor leucine and lysine, are substrate for gluconeogenesis. Alanine is the most important gluconeogenic amino acid.